Barjinder, a 65-yr. old male came to you with shoulder pain and limited range of motion after a fall on an outstretched hand. X-ray given below. Which of the following is/are most likely to be injured?
1. Radial nerve
2. Ulnar nerve
3. Axillary nerve
4. Median nerve

Correct answer: 3. Axillary nerve

Explanation: Axillary Nerve - Supplies Teres minor & deltoid - Sensation: upper arm - Regimental Badge area- Loss of sensation - Known as Regimental badge Sign - Damaged due to: 1. Shoulder dislocation 2. Fracture of upper end of Humerus 3. Injection into deltoid muscle